Which statement best describes a functional role for the lateral hemispheres of the cerebellum?
1. Control and coordinate movements of the axial muscles, as well as the shoulder and hip
2. Control movements that involve distal limb musculature
3. Function with the cerebral cortex to plan movements
4. Stimulate motor neurons through their connections to the spinal cord

Correct answer: 3. Function with the cerebral cortex to plan movements

Explanation: From a functional point of view, the cerebellum is divided into three parts: 1. Vestibulocerebellum (or flocculonodular lobe) Consist of the nodulus in the vermis and the flanking flocculus in the hemisphere on each side. This lobe is phylogenetically the oldest part of the cerebellum and has vestibular connections concerned with equilibrium and eye movements. 2. Spinocerebellum Formed by the rest of the vermis and the adjacent medial portions of the hemispheres. This region receives proprioceptive input from the body as well as a copy of the "motor plan" from the motor cortex. By comparing plan with performance, it smooths and coordinates movements that are ongoing. 3. Cerebrocerebellum Includes the lateral portions of the cerebellar hemispheres. They interact with the motor cortex in planning and programming movements.